Which part of the small bowel is responsible for the absorption of vitamin B12?
1. Jejunum
2. Proximal ileum
3. Duodenum
4. Terminal ileum

Correct answer: 4. Terminal ileum

Explanation: The terminal ileum is responsible for the absorption of vitamin B12. If this vitamin is not supplemented, the patient will experience symptoms of glossitis, neuropathy, macrocytic anaemia. The proximal ileum is responsible for absorption of vitamin B2 and vitamin C. The jejunum is responsible for the absorption of vitamin D folic acid and nicotinamide. The duodenum is responsible for the absorption of the minerals calcium and iron.